A patient on antidepressant therapy developed sudden hypertension on consuming cheese. The antidepressant is possibly :
1. Amitryptiline
2. Tranylcypromine
3. Fluoxetine
4. Sertraline

Correct answer: 2. Tranylcypromine

Explanation: B i.e. Tranylcypromine